Cloudy swelling is:
1. Irreversible
2. Reversible
3. Physiological and never pathological
4. Late manifestation of cell injury

Correct answer: 2. Reversible

Explanation: Reversible